The following is not a feature of Alzheimer's disease:
1. Neurofibrillary tangles
2. Senile (neuritic) plaques
3. Amyloid Angiopathy
4. Lewy bodies

Correct answer: 4. Lewy bodies

Explanation: (D) Lewy bodies# 'Lewy bodies' are intraneuronal, intracytoplasmic, eosinophilic inclusions that have a dense core surrounded by a pale halo. They are composed by Neurofilaments and contain epitopes recognized by antibodies against neuro filament proteins, Ubiqutin and a-synuclein (presynaptic protein)> They are characteristically seen in idiopathic parkinsons disease (and not in Alzheimer's disease)> Alzheimer's disease is the most common cause of dementia in the Western world and is characterized by the following clinical, pathological and biochemical triad.> Clinically:w Subtle onset memory loss followed byw Slowly progressive dementia over several years> PathologicallyGross Diffuse atrophy of cerebral cortex Secondary enlargement of ventricular system> Microscopic Neuritic plaques containing b amyloid Neurofibrillary tangles Amyloid angiopathy accumulation of b amyloid in arterial walls of cerebral blood vessels.> Biochemically Decrease in cerebral cortical levels of acetyl choline (choline acetyl transferase (CAT) and nicotinic cholinergic receptors are also reduced) [Reduction in ACH is related to degeneration of nucleus basalis of Meynert> Lewy bodies are not mentioned as feature of Alzheimer's disease. Diffuse Lewy body disease Dementia + Large number of Lewy bodies in cortical neurons + No other pathological findings Diffuse Lewy body variant of Alzheimer's disease (and not in Alzheimer's disease) Dementia + Large number of Lewy bodies in cortical neurons + Neurofibrillary tangles and amyloid plaques.